Which structure does not pass through the jugular foramen?
1. Vagus nerve
2. Glossopharyngeal nerve
3. Accessory nerve
4. Internal carotid artery

Correct answer: 4. Internal carotid artery